Osteosarcoma is differentiated from myositis ossificans by radiology by:
1. Location
2. Absence of osteomyelitic changes
3. Shape of swelling
4. Peripheral field of differentiation

Correct answer: 4. Peripheral field of differentiation

Explanation: Ans. Peripheral field of differentiation